Most common cause of Mobius syndrome is by use of which of the following drug in pregnancy ?
1. Misoprostol
2. Thalidomide
3. Methotrexate
4. Dinoprostone

Correct answer: 1. Misoprostol

Explanation: Mobius syndrome is extremely rare congenital condition characterized by facial paralysis and inability to move the eye laterally (abbduction). It results due to paralysis of sixth and seventh cranial nerves, important causes of this syndrome are:

Birth trauma
Use of misoprostol in mother during pregnancy
Use of thalidomide in mother during pregnancy
Use of cocaine in mother during pregnancy